Pulled elbow is
1. A sprain of extensor tendons
2. Dislocation of head of radius
3. Fracture of lateral condyle of humerus
4. Dislocation of elbow

Correct answer: 2. Dislocation of head of radius

Explanation: B i.e. Dislocation of head